Pseudopolyposis is seen in
1. Crohn's disease
2. Ulcerative colitis
3. Juvenile polyposis
4. Enteric fever

Correct answer: 2. Ulcerative colitis

Explanation: Ulcerative colitis: Isolated islands of regenerating mucosa often bulge into the lumen to create small elevations, termed pseudo polyps. TEXT BOOK OF ROBBINS BASIC PATHOLOGY NINTH EDITION PAGE.590 IMAGE REF: